Incremental lines of striae of Retzius denote:
1. Active period.
2. Rest Period.
3. Mixed activity.
4. Hyperactive but normal period.

Correct answer: 2. Rest Period.